Tonsillar fossa is bounded anteriorly by ?
1. Pharyngobasilar fascia
2. Palatopharyngeal fold
3. Buccopharyngeal fascia
4. Palatoglossal fold

Correct answer: 4. Palatoglossal fold

Explanation: Ans. is 'd' i.e., Palatoglossal fold Palatine tonsils are masses of lymphoid tissue that can be seen on the left and right sides at the back of the throat. There are two palatine tonsils, and each palatine tonsil (right or left) lies in the tonsilar sinus (tonsilar fossa) on the lateral wall of oropharynx. Tonsillar fossa bounded by the palatoglossal fold in front and the palatopharyngeal fold behind. Tonsils are lined by non - keratinized stratified squamous epithelium. Medial surface of each tonsil has 15-20 crypts, the largest of which is called Intratonsillar cleft or crypta magna (which represents persistence of the ventral portion of the second pharyngeal pouch). Tonsillar bed is formed from within - outwards by :- Li Pharyngobasilar fascia Superior constrictor (above) and palatopharyngeus muscle Styloglossus (below) Buccopharyngeal fascia